Guiding plane in RPD should be located at:
1. In between edentulous space
2. Abutment surface adjacent to an edentulous area
3. Edentulous areas
4. Abutment area

Correct answer: 2. Abutment surface adjacent to an edentulous area